Most common symptom in pulmonary embolism:
1. Dyspnea
2. Pleuritic chest pain
3. Cyanosis
4. Hemoptysis

Correct answer: 1. Dyspnea

Explanation: Ans. A: Dyspnea Symptoms of pulmonary embolism (PE) are Sudden-onset dyspnea Tachypnea Chest pain of a "pleuritic" nature (worsened by breathing) Cough Hemoptysis More severe cases can include signs such as cyanosis, collapse, and circulatory instability. On physical examination, a pleural rub may be audible by stethoscope over affected areas of the lung. Strain on the right ventricle may be detected as a left parasternal heave, a loud pulmonary component of the second heart sound, raised jugular venous pressure, and more rarely leg swelling. The gold standard for diagnosing pulmonary embolism (PE) is pulmonary angiography. Pulmonary angiography is used less often due to wider acceptance of CT scans, which are non-invasive.